1.5 mL of a solution containing 20 mg/mL of Evans blue dye is injected into plasma, the final concentration of the dye is 0.015 mg/mL, the volume of the plasma is:
1. 1 L
2. 2 L
3. 3 L
4. 4 L

Correct answer: 2. 2 L

Explanation: Volume of plasma = volume of dye injected / final concentration of the dye Volume of dye injected = 1.5 * 20 = 30 mg Volume of plasma = 30/0.015 = 2000 mL